Brain contains which neurotransmitter:
1. Tyrosine
2. Glutamate
3. Serine
4. Tryptophan

Correct answer: 2. Glutamate

Explanation: Ans. (b) GlutamateRef.: Lange medical physiology by Ganong 23rd ed., ch. 15* Glutamate is the most abundant excitatory neurotransmitter in the vertebrate nervous system.* At chemical synapses, glutamate is stored in vesicles. Nerve impulses trigger release of glutamate from the presynaptic cell. Glutamate acts on ionotropic and metabotropic (G-protein coupled) receptors.* Because of its role in synaptic plasticity, glutamate is involved in cognitive functions such as learning and memory in the brain.* Excitotoxicity due to excessive glutamate release and impaired uptake occurs as part of the ischemic cascade and is associated with stroke, autism, some forms of intellectual disability, and diseases such as amyotrophic lateral sclerosis, lathyrism, and Alzheimer's disease.* In contrast, decreased glutamate release is observed under conditions of classical phenylketonuria